What is the size of particle is rapid sand filter ?
1. 0.1 mm
2. 0.2
3. 0.5
4. 4 to 0.7 mm

Correct answer: 4. 4 to 0.7 mm

Explanation: Ans. is 'd' i.e., 0.4 to 0.7 mm Rapid sand filter 0.4 - 0.7 rnm Slow sand filter 0.2 - 0.3